Nysten's rule pertains to -
1. Rigor mortis
2. Identification
3. Bullet injuries
4. Putrefaction

Correct answer: 1. Rigor mortis

Explanation: Nysten's rule states that Rigor mortis does not start in all muscles simultaneously, it appears first in involuntary muscles. Ref: K.S.Narayan Reddy's Synopsis of Forensic Medicine and Toxicology, 29th edition, Chapter 7, Page 88.